In typical hanging, knot is placed at:
1. Occiput
2. Chin
3. Left side of mandible
4. Right side of mandible

Correct answer: 1. Occiput

Explanation: Ans. Occiput